Serum alkaline phosphatase level is reduced in:
1. Paget's disease.
2. Hyperparathyroidism.
3. Hypothyroidism.
4. Fibrous dysplasia.

Correct answer: 3. Hypothyroidism.